Philthrum is derived from-
1. Maxillary process
2. Mandibular process
3. Medial nasal process
4. Lateral nasal process

Correct answer: 3. Medial nasal process

Explanation: Ans. C. Medial nasal processFrontonasal process is divided into:-i) Lateral nasal processes:From alae of nose.ii) Medial nasal processes:These merge with each other to form intermaxillary segment which gives rise to : philtrum (middle part of upper lip),premaxillary plate.